Epiphora is-
1. Cerebrospinal fluid running from the nose after fracture of anterior cranial fossa
2. An epiphenomenors of a cerebral tumor
3. An abnormal overflow of tears due to obstruction of lacrimal duct
4. Eversion of lower eyelid following injury

Correct answer: 3. An abnormal overflow of tears due to obstruction of lacrimal duct

Explanation: Excessive secretion of tears → hyperlacriination.
Obstruction to the outflow of normally secreted tears or due to lacrimal pump failure → epiphora.